Regarding upper GI bleed-true statement is
1. Most common cause is variceal bleeding
2. It is bleeding up to ampulla of Vater
3. MC management is endoscopic banding
4. Rockall scoring is used for risk stratification

Correct answer: 4. Rockall scoring is used for risk stratification

Explanation: Ref. Sabiston Textbook of Surgery. Pg. 1142
 
GI Bleeding
Most common cause of GI Bleed is Non variceal bleeding (80%)

Upper GI bleed is defined bleeding arising from esophagus ,stomach ,or duodenum .
Rockall and Baylor scoring for predicatabilty of rebleeding and mortality
1st line management includes IV Fluids + blood (1:3) + PPI Infusion + upper GI endoscopy .